Metal ceramic restorations fail usually due to fracture of
the cervical material. This can be avoided if:
1. Occlusal forces are minimal
2. Casting is so designed as to reduce stress on ceramic material
3. Metal is not more than 0.5 mm thick
4. Ceramic is at least 1.5 mm thick

Correct answer: 2. Casting is so designed as to reduce stress on ceramic material